You want assistant to get entonox gas cylinder ,which color will you order him to get?
1. Black body white shoulder
2. Blue body white shoulder
3. White body black shoulder
4. White body blue shoulder

Correct answer: 2. Blue body white shoulder

Explanation: Entonox has blue body with white shoulder color code for cylinder